Most common test for HIV is
1. ELISA
2. Western blot
3. Northern blot
4. Virus isolation

Correct answer: 1. ELISA

Explanation: Ans:- a (ELISA) Ref: Harrison 17/edp.I165Most common test for HIV is definitely ELISAAntibodies to HIV usually appear within 6 weeks and almost invariably within 12weeks of primary infection.This antibody detection forms the basis of most diagnostic screening tests for HIV infection such as ELISA and Western blot.Before 6weeks, diagnosis depends on direct detection of HIV by p24 antigen Capture assay.HIVClinical features1. Primary infectionIt is symptomatic in 70-80% of cases and usually occurs 2-4 weeks after exposure. The major clinical manifestations of primary infection are fever. The appearance of specific anti HIV antibodies in serum (Serocinversion) takes place at 3-12 weeks (median 8 weeks)Any HIV infected individual with CD4 T cell count less than 200/cu.mm has AIDS by definition.2. Asymptomatic infectionAsymptomatic infection is a period during which the individual remains well with no evidence of disease except for the possible presence of persistent generalized lymphadenopathy.3. Mildly symptomatic disease.It indicates some impairment of the cellular immune system. These diseases corresponds to AIDS related complex conditions, but by definition are not AIDS defining.Acquired Immunodeficiency SyndromeIt is defined by the development of specified opportunistic infections tumors etc. e.g, esophageal candidiasis, cryptococcal meningitis.Correlation between CD 4 count and HIV associated diseases are given below.>500cells/cu.mm1. Acute primary infection2. Progressive generalized lymphadenopathy3. Recurrent vaginal candidiasis200-500cells/cumm1. Pulmonary tuberculosis2. Herpes zoster3. Oropharyngeal candidiasis4. Oral hairy leucoplakia5. Salmonellosis6. Kaposi's sarcoma7. HIV associated idiopathic thrombocytopenia8. Cervical intra epithelial neoplasia 1 and 29. Lymphoid interstitial pneumonitis<200cells/cu.mm1. Pneumocystis carinii pneumonia2. Mucocutaneous herpes simplex3. Cryptosporidium4. Microsporidium5. Esophageal candidiasis6. Miliary/extra pulmonary tuberculosis7. HIV associated wasting8. Peripheral neuropathy<100 cells/cu.mm1. Cerebral toxoplasmosis2. Cryptococcal meningitis3. Primary CNS lymphoma4. Non-Hodgkin's Lymphoma5. HIV-associated Dementia6. Progressive multi focal leukoencephalopathy.<50cells/cu.mm1. CMV Retinitis/gastro intestinal disease2. Disseminated Mycobacterium avium intacellulare